Hydrogen ion is eliminated by:
1. Kidney
2. Lungs
3. Liver
4. Stomach

Correct answer: 1. Kidney

Explanation: Ans. A: Kidney Cells of proximal and distal tubules secrete hydrogen ions which comes from carbonic acid For each hydrogen ion secreted, one sodium ion and one bicarbonate ion enters the interstitial fluid.